Schistocytes are-
1. Malarial parasite
2. WBC
3. Broken RBC
4. Schizont

Correct answer: 3. Broken RBC

Explanation: Traumatic damage to the red cells leads to appearance of red cell fragments called schistocytes., burr cells, helmet cells and triangular cells. Malarial parasite are plasmodium. Schizont is a malarial parasite which has matured. Reference : Robbins and Cotran Pathologic basis of disease.South Asia Edition volume 1.page no. 644